Intron is not found in which DNA:
1. Nuclear DNA
2. Mitochondrial DNA
3. B DNA
4. Z DNA

Correct answer: 2. Mitochondrial DNA

Explanation: Mitochondrial DNA